Infants of diabetic mother manifests all of the following EXCEPT?
1. Hyperglycemia
2. Hypoglycemia
3. Hypocalcemia
4. Hyperbilirubinemia

Correct answer: 1. Hyperglycemia

Explanation: Metabolic problems seen in infant of diabetic mothers: hypoglycemia hypocalcemia hypomagnesemia hyperbilirubinemia.